One of the following is the best of provent pulp damage during cavity preparation
1. retain smear layer
2. Use sharp burs with brush stroke
3. use surface anesthesia
4. use adequate water coolant

Correct answer: 4. use adequate water coolant